Side effects of a drug arise due to the interactions of the drug to molecules other than the target. These effects of a drug can be minimized by its high ?
1. Specificity
2. Affinity
3. Solubility
4. Hydrophobicity

Correct answer: 1. Specificity

Explanation: Ans. is 'a' i.e., Specificity "The pharmocologist who produces a new drug and the doctor who gives it to a patient share the desire that it should possess a selective action, so that additional and unwanted adverse effects do not complicate the management of the patient" So side effects of drugs which arise due to interaction of the drug to molecules other than the target can be minimized by making the drug more specific. (also see above explanation).